Delphian's nodes are
1. Pre-Larynxgeal
2. Upper deep cervical
3. Retropharyngeal
4. Posterior triangle

Correct answer: 1. Pre-Larynxgeal